Treatment of postmenopausal osteoporosis -a) Tamoxifenb) Progesterone c) Estrogend) Alendronatee) Calcitonin
1. abd
2. acd
3. bde
4. cde

Correct answer: 4. cde

Explanation: Drug used in osteoporosis

Inhibit resorption : -Bisphosphonates, donesumab, cinacalcet, calcitonin, estrogen, SERMS, gallium nitrate.
Stimulate formation : -Teriparatide, calcium, calcitriol, fluorides,.
Both actions : - Strontium renelate.


Drugs decreasing bone resorption initially increase bone mineral density (BMD), but it reaches a plateau in 2-3 yrs because bone formation also decreases.
On the other hand, drugs promoting bone formation can increase BMD through the period of treatment.


SERMs (selective estrogen receptor modifier) used for osteoporosis → Raloxifene.
Bisphosphonates → Etidronate, Pamidronate, Alendronate, Ibandronate, Risedronate, Zolendronate.